Beevor's sign indicates a lesion in the :
1. Thoracic cord
2. Cervical cord
3. Cauda Equina
4. Conus Medullaris

Correct answer: 1. Thoracic cord

Explanation: Answer is A (Thoracic cord): Beevor's sign result from a lesion in the Thoracic cord (T9 - T10)